A diabetic person presents with multiple abscess in leg. Microscopic examination of pus shows gram (-)ve bacilli. On staining with methylene blue bacteria shows bipolar staining. The most likely causative agent is:
1. B. pseudomallei
2. Y. Pestis
3. Pseudomonas mallei
4. Botromycosis

Correct answer: 1. B. pseudomallei

Explanation: Ans. is. 'a' i. e., B. pseudomallei